Most common involved in blunt injury to the abdomen:
1. Spleen
2. Liver
3. Intestines
4. Kidney

Correct answer: 1. Spleen

Explanation: Ans. (a) SpleenRef: Sabiston 19/e p457-459* MC organ injured in# Blunt trauma: Spleen> Liver# Penetrating Trauma: Small Intestine